LATS is a?
1. IgM
2. Glycoprotein
3. IgG
4. IgA

Correct answer: 3. IgG

Explanation: Thyroid-stimulating immunoglobulin:
This IgG antibody binds to the TSH receptor and mimics the action of TSH, stimulating adenyl cyclase and increasing the release of thyroid hormones, Almost all individuals with Graves disease have detectable levels of this autoantibody Thyroid-stimulating immunoglobulin is relatively specific for Graves disease, in contrast to thyroglobulin and thyroid peroxidase antibodies- This antibody is also known as LATS (Long acting thyroid stimulating) antibody